Diagnosis of tubercular pericarditis can be done by:
1. Chest X-ray
2. USG
3. MRI
4. Aspiration and culture

Correct answer: 4. Aspiration and culture

Explanation: Ans. D: Aspiration and culture The diagnosis of tuberculous pericarditis may be confirmed by aspiration of the fluid and direct examination or culture for tubercle bacilli